False regarding type A personality
1. Hostile
2. Time pressure
3. Competitiveness
4. Mood fluctuations

Correct answer: 4. Mood fluctuations

Explanation: Type A behaviour is characterised by following features:Time UrgencyThere is always a hurry to finish the task at hand. This is extended even to day-to-day routine activities such as eating, bathing. Speech is usually hurried and the psychomotor activity is often increased. Excessive Competitiveness and HostilityThere is a need to always win, with mistrust for other people's motives. Rage ensues if the person is interrupted from achieving an objective. Overall, there is a chronic struggle to achieve (or complete) a large number of tasks, working against the limits of time available and/or other people in the surrounding environment. In contrast, Type B behaviour is just the opposite, characterised by a relaxed unhurried attitude and less vigorous attempts to achieve a goal. Ref: A Short Textbook of Psychiatry, Niraj Ahuja, 7th Edition, pg. no. 148